Anal valve is found in which part of anal canal ?
1. Upper
2. Middle
3. Lower
4. At anus

Correct answer: 1. Upper

Explanation: Ans. is 'a' i.e., Upper